Schamberg's purpura are seen on
1. Face
2. Feet
3. chest
4. Arms

Correct answer: 2. Feet

Explanation: Schamberg purpura is the result of leakage of blood from small capillaries in the superficial papillary dermis. The resultant purpura is nonblanching but is not palpable. No pronounced damage occurs to the blood vessel walls, differentiating this condition from vasculitis Ref Harrison20th edition pg 1456